What is the refractive power of cornea?
1. 15
2. 30
3. 43
4. 60

Correct answer: 3. 43

Explanation: The refractive power of the cornea is 43D. The maximum refractive power of an emmetropic eye is 63D, with an axial length of the globe measuring 23.5mm. The lens accounts for 10-20 diopters depending upon accommodation. However, refractive power of the eye is not simply the sum of these two values. Refractive power of a newborn cornea is 51D Refractive power of a fetal cornea is 52 - 53 D Ref: Ophthalmology: a short textbook By Gerhard K. Lang page 425.